Which subtype of Hodgkin's disease, which is histogentically distinct from all the other subtypes?
1. Nodular sclerosis
2. Mixed cellularity
3. Lymphocyte depleted
4. Nodular Lymphocyte predominant

Correct answer: 4. Nodular Lymphocyte predominant

Explanation: Nodular lymphocytic predominat Hodgkins disease is now recognized as an entity distinct from classical Hodgkin's disease. In lymphocyte predominant Hodgkin's disease Reed sterberg cells, eosinoplils, istocytes are sparse, and the predominant cell is a mature lymphocyte. As a result, the disease may be mistaken for a diffuse small b-cell non-Hodgkin lymphoma. Approximately 5% of patients with HL have the lymphocyte predominant (NLPHL) type. It most often involves cervical or axillary lymph nodes. It can affect patients of all ages, males more often than females, and symptoms such as fever, weight loss, and night sweats (also known as B symptoms) are infrequent. These patients are at risk for developing diffuse large B-cell lymphoma or T-cell/histiocyte-rich large B-cell lymphoma. Ref:The MD Andersnn Manual of Medical Oncology, 2nd Edition, Chapter 10